Binds to the receptors on Leydig cells.
1. LH
2. PRL
3. TSH
4. GH

Correct answer: 1. LH

Explanation: LH binds to the receptors on Leydig cells and stimulates the release of testosterone. PRL, TSH, GH, and FSH do not bind to Leydig cells.